Following are the side effects of thiazides except?
1. Hypokalemia
2. Hypocalcemia
3. Hepatic coma
4. Impotence

Correct answer: 2. Hypocalcemia

Explanation: Following Following are the side effects of thiazides: Hypokalemia Acute saline depletion, hemoconcentration and increased risk of peripheral venous thrombosis Dilutionsalhyponatremia Nausea omitting diarrhea Rarely headache, giddiness, weakness, parethesias, impotence Hearing loss Rashes, photosensitivity Hyperuricemia Hyperglycemia hyperlipidemia o Hypercalcemia Magnesium depletion Aggravated renal insufficiency Brisk diuresis leading to mental disturbance and hepatic coma REF : katzung pharmacology : 14th ed